Cirrhosis of liver with portal hypertension occurs in all except:
1. Cystic fibrosis
2. Alpha 1 anti-trypsin deficiency
3. Wilson's disease
4. Schistosomiasis

Correct answer: 4. Schistosomiasis

Explanation: Schistosomiasis can lead to Portal HTN but not cirrhosis. Wilson's disease is an inherited disorder of copper homeostasis with failure to excrete excess amounts of copper, leading to its accumulation in the liver and resultant cirrhosis. Alpha 1 antitrypsin deficiency results from an inherited disorder that causes abnormal folding of the alpha-1- AT protein, resulting in failure of secretion of that protein from the liver and these patients are at greatest risk for developing chronic liver disease. Cystic fibrosis is an uncommon inherited disorder & Secondary biliary-type cirrhosis occurs in it.